Drug induced pemphigus is most commonly caused by
1. Penicillamine
2. Phenytoin sodium
3. Carbamazepine
4. Penicillin

Correct answer: 1. Penicillamine

Explanation: captopril and d- penicillamine are the two most common drugs inducing pemphigus vulgaris . page no.281 . Reference IADVL's concise textbook of dermatology